Drug of choice in pertussis is :
1. Penicillin
2. Doxycycline
3. Erythromycin
4. Ciprofloxacin

Correct answer: 3. Erythromycin